Judge can ask clarifying questions when -
1. After cross exam
2. Before cross exam
3. Beforere cross exam
4. At any time he wishes

Correct answer: 4. At any time he wishes

Explanation: Ans. is 'd' i.e., At any time he wishes o The judge may ask any question, in any form, about any fact, relevant or irrelevant, at any stage of the examination to clear up doubts.Recording of evidenceo After oath administration, the evidence is recorded under following stepsi) Examination in chief (direct examination) : It is the examination of the witness by lawyer of the party calling the witness. In government prosecutions, it is done by public prosecutor (PP)Zdistrict government pleader(DGP). The objective is to elicit all relevant, and convincing facts. No leading questions are permitted. Leading question means the question, which leads the witness to desired answer. However, if the witness is declared hostile, leading questions can be asked.Cross-examination : Examination ofthe witness is conducted by the lawyer ofthe opposite party. In government prosecutions it is done by defence lawyer. The objective is to elicit, remove or modify- facts and to test the accuracy of statement or witness. Leading questions are allowed.Re-examination (Redirect examination): It is conducted like examination in chief and so by the lawyer of same party. The objective is to clear out any discrepancies'doubt, that have arisen during cross-examination. Leading questions are not allowed. The witness should not tell any new thing at this stage, otherwise opposing lawyer is permitted for re-cross examination.Court questions : At any stage, during the recording of evidence, the judge may ask questions to clear hisdoubts.